The following are signs of left heart failure except:
1. S3 gallop
2. Pedal edema
3. Bilateral lung base crepitations
4. Orthopnea

Correct answer: 2. Pedal edema

Explanation: Signs of left heart failure:-  
i. Dyspnea on exertion 
ii. Orthopnea 
iii. Paroxysmal Nocturnal Dyspnea 
iv. Bilateral lung base crepitations (suggestive of pulmonary edema) 
v. S3 gallop 
vi. Pulsus paradoxus   
vii. N-terminal Brain Natriuretic peptide levels are increased 
Signs of Right ventricular failure are:-
i. Elevated JVP 
ii. Pedal edema 
iii. Tender hepatomegaly 
iv. Ascites